Bell's palsy patient comes on day 3. Treatment given would be:
1. Intratympanic steroids
2. Oral steroids + vitamin B complex
3. Oral steroids + Acyclovir
4. Vasodilators + vitamin B complex

Correct answer: 3. Oral steroids + Acyclovir

Explanation: (c) Oral steroids + Acyclovir is the best answer.(Ref. Cummings, 6th ed., 2621)Antiviral has to be started within 3 days. Since the patient has presented on the 3rd day, acyclovir should also be started here along with the steroids.If the patient comes after 3 days he should be given only the steroid and vitamin B.Intratympanic steroids and vasodilators are not used for Bell's palsy.